Paraneoplastic cerebellar ataxia with anti-Yo antibody positivity is seen in:
1. Breast and ovarian malignancy
2. Breast and lung malignancy
3. Ovarian and small cell carcinoma lung
4. Small cell carcinoma lung and hodgkins disease

Correct answer: 1. Breast and ovarian malignancy

Explanation: Paraneoplastic cerebellar ataxia is associated with 1. Breast and ovarian cancers (anti-Yo) 2. Small-cell lung cancer (anti-PQ type voltage-gated calcium channel) 3. Hodgkin's disease (anti-Tr) Ref: Harrison, E-18, P-3336.